To study the incidence of caries in 10 yr old in a school which is best study design.
1. Porspective
2. Retrospective
3. Cross sectional study
4. Cross over study

Correct answer: 1. Porspective